Which of the following may present as a bluish red nodule resembling conjunctival haemorrhage
1. Ciliary staphyloma
2. Kaposi sarcoma
3. Lymphoma
4. Limbal dermoid

Correct answer: 2. Kaposi sarcoma

Explanation: Kaposi sarcoma: This specific type of tumor is seen in patients suffering from AIDS due to HIV. The lesion not only affect conjunctiva but also affects the skin of the eyelids and face. The tumor is highly vascular, with a bluish red colour and presents as an elevated nodule somewhat resembling a sub conjunctival hemorrhage. The lesion is malignant and treatment is palliative with radiotherapy. Reference :- Parsons diseases of eye; page:-186,187